Parosmia is -
1. Perversion of smell sensation
2. Absolute loss of smell sensation
3. Decreased smell sensation
4. Perception of bad smell

Correct answer: 1. Perversion of smell sensation

Explanation: Disorders of smell
Anosmia : Total loss of sense of smell
Hyposmia : Partial loss of sense of smell
Parosmia : Perversion of smell (seen in recovery phase of post influenzal anosmia; intracranial tumors).